Middle Third of the IJV lies at the cervical lymph node level
1. Level I
2. Level II
3. Level III
4. Level IV

Correct answer: 3. Level III